All are forms of opioid replacement therapies except
1. Naloxone
2. Buprenorphine
3. LAAM
4. Methadone

Correct answer: 1. Naloxone

Explanation: Rest are oral opioids used for substitution